All are true about minimal change GN except?
1. Selective proteinuria
2. IgG deposition in mesangium
3. Common in age group 2-9 years
4. Responds to steroids

Correct answer: 2. IgG deposition in mesangium

Explanation: Ans. is 'b' i.e., IgG deposition in mesangium There is no deposition of immune reactants (immunoglobulin or complement).